Broca's area is localised in -
1. Superior temporal gus
2. Parietal lobe
3. Inferior frontal lobe
4. Angular gyrus

Correct answer: 3. Inferior frontal lobe

Explanation: C i.e. Inferior frontal lobe